Drug of choice for a child with first episode nephrotic syndrome is?
1. Cyclophosphamide
2. Prednisolone
3. Mycophenolate
4. Cyclosporine

Correct answer: 2. Prednisolone

Explanation: Drug of choice for a child with first episode nephrotic syndrome is oral prednisolone. Drug of choice for steroid dependent nephrotic syndrome is Levamisole, Steroid resistant Nephrotic syndrome are calcineurin inhibitors like Cyclosporine and Tacrolimus.